Alendronate acts by
1. Inhibit osteoclast
2. Inhibit osteoblast
3. Inhibit both
4. None of these

Correct answer: 1. Inhibit osteoclast

Explanation: (Refer: K. D. Tripathi's Essentials of Medical Pharmacology, 6th edition, pg no:334)
Inhibit osteoclast